Hinchey classification is used for perforations of colon secondary to -
1. Trauma
2. Carcinoma
3. Diverticulitis
4. Inflammatory enteropathy

Correct answer: 3. Diverticulitis

Explanation: Ans. is 'c' i.e., Diverticulitis * Hinchey Classification is used to describe perforations of the colon due to diverticulitis.* The Hinchey classification - proposed by Hinchey et al. in 1979 classifies a colonic perforation due to diverticular disease.* The classification is I-IV:i) Hinchey I - localised abscess (para-colonic)ii) Hinchey II - pelvic abscessiii) Hinchey III - purulent peritonitis (the presence of pus in the abdominal cavity)iv) Hinchey IV - feculent peritonitis. (Intestinal perforation allowing feces into abdominal cavity)* The Hinchey classification is useful as it guides surgeons as to how conservative they can be in emergency surgery. Recent studies have shown with anything up to a Hinchey III, a laparoscopic wash-out is a safe procedure avoiding the need for a laparotomy and stoma formation.